Which of the following is a superantigen -
1. Exfoliative toxin of staphylococcus
2. Lipopolysaccharide of gram negative bacteria
3. Enterotoxin of V cholerae
4. Shiga toxin of EHEC

Correct answer: 1. Exfoliative toxin of staphylococcus

Explanation: Ans. is 'a' i.e., Exfoliative toxin of staphylococcus Examples of superantigeny Staphylococcal toxic shock syndrome toxiny Staphylococcal enterotoxinsy Staphylococcal exfoliative (erythrogenic) toxiny Streptococcal toxic shock syndrome toxiny Certain nonhuman retroviral proteinsy Yersinia pseudotuberculosisy Mycoplasma arthritis.y Mouse mammary tumor virus.